The exact part of the antigen that reacts with the immune system is called as -
1. Clone
2. Epitope
3. Idiotope
4. Effector

Correct answer: 2. Epitope